All of the follow ing lie between the 1st rib and the apex of the lung, except -
1. Thoracic duct
2. Superior intercostal artery
3. First posterior intercostal vein
4. Sympathetic trunk

Correct answer: 1. Thoracic duct

Explanation: Ans. is 'a' i.e.. Thoracic ductRelationship of lung apexIn front (Anterior)Subclavian artery.Origini of internal thoracic artery from the 1st part of subclavian artery.Scalenus anterior muscle.Subclavian vein.Behind (Posterior)o A pex is in contact with neck of the 1st rib, and the following structures intervene between them (from medial to lateral) :-Sympathetic trunkFirst posterior intercostal veinSuperior intercostal arteryAscending branch of the ventral ramus of the lst thoracic nerve. It joins the 8th cervical nerve to form the lower trunk of the brachial plexus.LaterallyScalenus medius muscleLower trunk of brachial plexusMediallyRight lung (from before backwards)Right bronchoceptalic vein accompanied by right phrenic nerve & pericardio-phrenic vesselsBrachio-cephalic trunkTrachea acompanied by right vagusLeft lung (from before backwards)a) Left bronchcephalic veinb) Left subclavian artery'c) left edge of esophagusd) Thoracic duct